Which is not true regarding colour of bruise :
1. 4th day - bluish black to brown
2. 7-12 days - green
3. 1' day - red
4. 2 weeks - normal

Correct answer: 2. 7-12 days - green

Explanation: B i.e. 7-12 days = green